Skin over hypothenar eminence is supplied by-
1. Radial nerve
2. Median nerve
3. Anterior interosseous nerve
4. Ulnar nerve

Correct answer: 4. Ulnar nerve

Explanation: Ans. is 'd' i.e., Ulnar nerve o Skin over hypothenar eminence is supplied by palmar cutaneous branch of ulnar nerve.o Skin over thenar eminence is supplied by palmar cutaneous branch of median nerve.Sensory supply of upper limbThe cutaneous nervesRegion suppliedNerve(s)Root valueDerived fromUpper part of pectoral region, and skin over upper part of deltoidSupraclavicularC3,C4Cervical plexusArm1. Upper medial part2. Uower medial part3. Upper lateral part (including skin over lower part of deltoid)4. Lower lateral part5. Posterior aspectIntercostobrachialMedial cutaneous nerve of armUpper lateral cutaneous nerve of armLower lateral cutaneous nerve of armPosterior cutaneous nerve of armT2T1,T2C5,C6C5,C6C52nd intercostalMedial cordAxillary nerveRadial nerveRadial nerveForearm1. Medial side2. Lateral side3. Posterior sideMedial cutaneous nerve of forearmLateral cutaneous nerve of forearmPosterior cutaneous nerve of forearmC8,T1C5,C6C6, C7, C8Medial cordMusculocutaneousRadial nervePalm1. Lateral two-thirds2. Medial one-thirdPalmar cutaneous branch of medianPalmar cutaneous branch of ulnarC6,C7C8MedianUlnarDorsum of hand1. Medial half including proximal phalanges of medial 2 1/2 digits2 Lateral half including proximal phalanges of medial 2 1/2 digitsDorsal branch of ulnarSuperficial terminal branch of radialC8C6,C7UlnarRadialDigitsPalmar aspect, and dorsal aspect of middle and distal phalanges1. Lateral 3 1/2 digits2 Medial 1 1/2 digitsPalmar digital branch of medianPalmar digital branch of ulnarC7C8MedianUlnar